The main action of muscle "GameIlius" is:
1. Medial rotation of thigh
2. Lateral rotation of thigh
3. Flexion of hip
4. Extension of hip

Correct answer: 2. Lateral rotation of thigh

Explanation: Lateral rotation of thigh